Richest source of vitamin C ?
1. Guava
2. Lime
3. Orange
4. Tomato

Correct answer: 1. Guava

Explanation: Ans. is 'a' i.e., Guava The richest source of vitamin C is Indian goosebery (Amla). Important sources of vitamin C in decreasing order : - Amla > Guava > Cabbage > Amaranath > Lime > Cauliflower > Orange > Spinach > Tomato > Potato